Slow conduction velocity is seen with which of the following nerve fibers?
1. Preganglionic autonomic nerve fibers
2. Postganglionic autonomic nerve fibers
3. Motor nerves
4. Sympathetic nerve fibers

Correct answer: 2. Postganglionic autonomic nerve fibers

Explanation: Slow conduction velocity is seen in 'C'- fibers because they are unmyelinated. These are post ganglionic sympathetic nerve fibers.